All of the following are used in treatment of pneumocystis carinii except
1. Pentamidine
2. Dapsone
3. Cotrimoxazole
4. Fluoroquinolones

Correct answer: 4. Fluoroquinolones

Explanation: The treatment of choice for PCP is trimethoprim-sulfamethoxazole (TMP-SMX), given either IV or PO for 14-21 days. Sulfadiazine plus pyrimethamine, an oral regimen more often used for treatment of toxoplasmosis, also is highly effective. Dapsone plus pyrimethamine or dapsone plus trimethoprim also can be used. Intravenous pentamidine or the combination of clindamycin plus primaquine is an option for patients who cannot tolerate TMP-SMXand for patients in whose treatment TMP-SMX appears to be failing. Ref Harrison 19th edition pg 1017